The highest incidence of Gestational Tropho-blastic Disease is in:
1. Australia
2. Asia
3. North America
4. Western Europe

Correct answer: 2. Asia

Explanation: “Incidence of gestational trophoblastic disease varies widely with figures as high as 1 in 120 in some areas of Asia and South America, compared to 1 in 1200 in the united states.”
Devita 7/e, p 1360